Fetal cardiac activity is detected with Trans vaginal USG as early as?
1. 6 weeks
2. 8 weeks
3. 10 weeks.
4. 12 weeks

Correct answer: 1. 6 weeks

Explanation: ANSWER: (A) 6weeksREF: USG in Obstetrics & Gynecology by Callen 4ch edition page 119-120Fetal cardiac activity is detected as early asWith Transvaginal USG6 weeks of gestational ageWith Transabdominal USG8 weeks of gestational age